Extradural hematoma CT scan finding is
1. Hypodense biconvex lesion
2. Hyperdense biconvex lesion
3. Concavo convex hyperdense lesion
4. Low attenuated biconvex lesion

Correct answer: 2. Hyperdense biconvex lesion

Explanation: Ans. Hyperdense biconvex lesion